Succinylcholine when given by endotracheal intubation causes A/E –
1. Hypokalemia in paraplegic patient
2. Prolonged apnea
3. Raised intra ocular pressure
4. Bradycardia

Correct answer: 1. Hypokalemia in paraplegic patient

Explanation: Sch causes hyperkalemia (not hypokalemia).